The reducing equivalent for fatty acid synthesis is derived from
1. Glycolysis
2. Kreb's cycle
3. Urea cycle
4. pentose phosphate pathway

Correct answer: 4. pentose phosphate pathway